On TVS which of the following shape of cervix indicates preterm labour:
1. T
2. Y
3. U
4. O

Correct answer: 3. U